Monogenic transmission of diabetes mellitus occurs in:
1. Insulin Dependent Diabetes Mellitus (IDDM)
2. Non-insulin Dependent Diabetes Mellitus (NIDDM)
3. Latent Autoimmune Diabetes in Adults (LADA)
4. Maturity Onset Diabetes of the Young (MODY)

Correct answer: 4. Maturity Onset Diabetes of the Young (MODY)

Explanation: d. Maturity Onset Diabetes of the Young (MODY)(Ref: Nelson's 20/e p 2760-2780, Ghai 8/e p 541-548)MODY refers to forms of diabetes are associated with monogenic defects in pancreatic b-cell function.